False about smooth muscle
1. Ca2+ is the excitation-contraction coupler
2. The "latch" mechanism facilitates prolonged holding of contractions of smooth muscle
3. Shows the property of plasticity
4. Musculature of uterus is made of multi unit smooth muscle

Correct answer: 4. Musculature of uterus is made of multi unit smooth muscle

Explanation: Unitary smooth muscle is found primarily in the walls of hollow viscera like uterus, intestine, ureters. Multiunit smooth muscle is made up of individual units with few (or no) gap junctional bridges. It is found in structures such as the iris of the eye, in which fine, graded contractions occur. Depending on the activating stimulus, the Ca2+ increase can be due to influx through voltage- or ligand-gated plasma membrane channels, efflux from intracellular stores through the RyR, efflux from intracellular stores through the inositol trisphosphate receptor (IP3R) Ca2+ channel, or a combination of these channels. Smooth muscle behaves more like a viscous mass than a rigidly structured tissue, and it is this property that is referred to as the plasticity of smooth muscle. .The "latch" mechanism facilitates prolonged holding of contractions of the smooth muscle.